Subclinical cases are seen in all except -
1. Measles
2. Rubella
3. Polio
4. Influenza

Correct answer: 1. Measles